All are included in Child-Turcotte-Pugh classification except
1. Bilirubin
2. Ascities
3. INR
4. ALP

Correct answer: 4. ALP

Explanation: Child-Turcotte-Pugh (CTP) classification of hepatocellular function in cirrhosis.1 point2 points3 pointsBilirubin (umol/L)<3434-50>50Albumin (g/L)>3525-35<25AscitesNoneEasily controlledPorly controlledEncephalopathyNoneGr I-IIGr III-IVINR<1.71.7-2.2>2.2CTP A= 5-6 points, CTP B= 7-9 points, CTP C= 10-15 pointsCTP classification is used to predict mortality after surgery.Ref: Bailey and love 27e pg: 1156